A characteristic feature of Still's disease -
1. Prominent kidney involvement
2. Rashes
3. Positive Rheumatoid factor
4. Neutropenia

Correct answer: 2. Rashes

Explanation: Stills disease is a variant of rheumatoid commonly occurring in adults in 20's and 30's.
Patients characteristics clinical features are:


High spiking fever often up to 40°C.
Sore throat
Evanescent salmon coloured non pruritic rash, seen on chest & abdomen
Lymphadenopathy
Pericardial effusion
Wrist joint involvement


Chances are that you might confuse it with Felty's syndrome so I am giving the important features of both these conditions together